Most common site of Ewings sarcoma
1. Upper end of tibia
2. Shaft of tibia
3. Lower end of femur
4. Shaft of femur

Correct answer: 4. Shaft of femur

Explanation: Most common site of Ewings sarcoma is diaphysis of femur followed by diaphysis of tibia Refer : Textbook of skeletal oncology p 315